The general test for detection of carbohydrates is
1. Iodine test
2. Molisch test
3. Barfoed test
4. Osazone test

Correct answer: 2. Molisch test

Explanation: Molisch test: It is a general test for the detection of carbohydrates. The strong H2SO4 hydrolyzes carbohydrates (poly and disaccharides) to liberate monosaccharides. The monosaccharides get dehydrated to form furfural (from pentoses) or hydroxymethyl furfural (from hexoses) which condense with a-naphthol to form a violet colored complex. Ref: Biochemistry by U. Satyanarayana 3rd edition Pgno : 17